Which of the following drugs is hydrolyzed by a plasma esterase that is abnormally low in activity in about 1 in every 2500 humans ?
1. Ethanol
2. Rifampicin
3. Cimetidine
4. Succinylcholine

Correct answer: 4. Succinylcholine